The groove separating the gum pad from the palate is  called
1. Gingival groove
2. Dental groove
3. Lateral sulcus
4. Transverse groove

Correct answer: 1. Gingival groove